Surgical approaches for open thymectomy include all except
1. Transcervical thymectomy
2. Median sternotomy
3. Thoraco abdominal incision
4. Partial median sternotomy

Correct answer: 3. Thoraco abdominal incision